Muscle first affected in thyroid ophthalmopathy is:
1. Medial rectus
2. Lateral rectus
3. Inferior rectus
4. Superior rectus

Correct answer: 3. Inferior rectus

Explanation: Ans. (c) Inferior rectusRef.: A.K. Khurana 6th ed. /414* In thyroid eye ophthalmopathy, the ocular motility defects due to restrictive myopathy (in order of frequency) are:# Elevation (due to fibrosis of inferior rectus)# Abduction (due to fibrosis of medial rectus)# Depression (due to fibrosis of superior rectus)# Adduction (due to fibrosis of lateral rectus).Mnemonic - "I M Shy Ladka"